Inclined plane is constructed
1. 90° to occlusal plane
2. 45° to occlusal plane
3. 30° to occlusal plane
4. 70° to occlusal plane

Correct answer: 2. 45° to occlusal plane